How did that competes with ACh for receptors at the motor end plate affects skeletal muscle?it would:
1. Produce and control muscles spasms
2. Cause the muscles to contract and be unable to relax
3. Cause muscles to relax and be unable to contract
4. Make the muscle more excitable

Correct answer: 3. Cause muscles to relax and be unable to contract

Explanation: (Ref: KDT 6/e 340) Drugs competing with ACh at neuromuscular junction are competitive or non-depolarizing neuromuscular blockers. These drugs are used as muscle relaxants. In contrast to depolarizing muscle relaxants, these donot cause initial fasciculations.